Lifespan of platelets and neutrophils is respectively
1. 8-9 days and 5 days
2. 120 days and 5 days
3. 5 days and 120 days
4. 5 days and 8-9 days

Correct answer: 1. 8-9 days and 5 days

Explanation: Erythrocytes 120 days
Platelets 8-9 days
Neutrophils 5 days